All of the following are psychological approach of the behaviour management, except:
1. Desensitization
2. Hypnosis
3. Modeling
4. Conscious sedation

Correct answer: 4. Conscious sedation

Explanation: Non-pharmacological methods of behaviour management
1. Communication 
2. Behaviour shaping (modification)
a) Desensitization
b) Modeling
c) Contingency management
3. Behaviour management
a) Audio analgesia 
b) Biofeedback
c) Voice control
d) Hypnosis
e) Humor
f) Coping
g) Relaxation
h) Implosion therapy
i) Aversive conditioning
Pharmacological method of behaviour management
1 Pre-medication
a) Sedatives and hypnotics
b) Anti-anxiety drugs
c) Antihistamines
2. Conscious sedation
3. General anesthesia
Shobha Tandon 2nd Ed p:146